All are true regarding menstrual regulation except:
1. It comes under MTP act
2. Blood loss is less
3. Done upto 12 weeks
4. General anesthesia not needed

Correct answer: 3. Done upto 12 weeks

Explanation: Ans. is c i.e. Done upto 12 weeks Menstrual regulation - consists of aspiration of contents of uterine cavity by means of plastic cannula (Karman's cannula) and a plastic 50 cc syringe. It is carried out effectively within 14 days of beginning of LMP. A paracervical block or pre-operative sedative alone suffices but sometimes in apprehensive patient GA is required. Blood loss is less. It is included in methods of performing MTP. Friends-- there are 2 different methods -- menstrual regulation and manual vaccum aspiration. Both of them are based on same principle i.e. creating a vaccum which helps in extracting out the products of conception. But menstrual regulation is done within 2 weeks whereas, manual vaccum aspiration is a safe method uptil 12 wks.